True regarding colovesical fistula
1. Most commonly presents with pneumaturia
2. Most commonly caused by colonic cancer
3. More common in females
4. Readily diagnosed on barium enema

Correct answer: 1. Most commonly presents with pneumaturia

Explanation: .* Left sided growth presents with colicky pain, altered bowel habits (alternating constipation and diarrhoea), palpable lump, distension of abdomen due subacute/ chronic obstruction. Later may present like complete colonic obstruction. Tenesmus, with passage of blood and mucus, with alternate constipation and diarrhoea, is common. Bladder symptoms may warn colovesical fistula. ref:SRB's manual of surgery ,ed 3,pg no 838